Embryonal rhabdomyosarcoma is seen in ?
1. Face
2. Neck
3. Nasal cavity
4. All

Correct answer: 4. All

Explanation: Ans. is 'a' i.e., Face; 'b' i.e., Neck; 'c' i.e., Nasal cavity Embryonal rhabdomyosarcoma o Embryonal rhabdomyosarcoma is the most common subtype of rhabdomyosarcoma, observed in children. o The tumor can occur at any site but the two most common sites are: i) Head and neck (including face and nose) --> Most common Genitourinary region (including vagina) ---> 2nd most common o Other sites involved are: Extremities Trunk Perianal and anal regions Retroperitonium GIT Intrathoracic Prostate